All except one can cross blood brain barrier
1. Neostigmine
2. Atropine
3. Lignocaine
4. Physostigmine

Correct answer: 1. Neostigmine

Explanation: Neostigmine being quaternary amine , is highly ionised and does not cross blood brain barrier.